Which compound shifts the Oxygen dissociation curve to the right:
1. 1, Phosphoglycerate
2. 2, 3 DPG
3. 1, 3 DPG
4. Glyceraldehyde

Correct answer: 2. 2, 3 DPG

Explanation: B i.e. 2,3, DPG